Potassium channel opener ?
1. Stiripentol
2. Retigabine
3. Lacosamide
4. Modafinil

Correct answer: 2. Retigabine

Explanation: Ans. is 'b' i.e., Retigabine[Ref. Epilepsy and brain tumors by Herbert B. Newton, p. 17flPotassium channel openersA potassium channel opener is a type of drug which facilitates ion transmission through Potassium channels.Diazoxide vasodilator used for hypertension, smooth muscle relaxing actIVItyMinoxidil vasodilator used for hypertension, also used to treat hair lossNicorandil vasodilator used to treat anginaPinacidilRetigabine, an anticonvulsantFlupirtine, analgesic with muscle relaxant and anticonvulsant properties